NPCDCS covers all except:-
1. Diabetes
2. Hypertension
3. Depression
4. Stroke

Correct answer: 3. Depression

Explanation: NPCDCS:- National Programme for Prevention and Control of Cancer, Diabetes, Cardiovascular Diseases and Stroke. Launched by Ministry of Health & Family welfare. Launched in 100 districts & 21 districts. At sub-center level: Health promotion. Oppurtunistic screening for B.P & sugar. Referral to CHC for DM & HTN. CHC level: Diagnosis & management at NCD clinics. Home visits for bed ridden pts. Referral to District hospital if complicated cases. District hospitals: Health promotion. Screening for > 30 days. Diagnosis & management of CV diseases. Pallative care for chronic debilitating progressive pts.